All of the following drugs can cause renal failure EXCEPT:
1. Cephaloridine
2. Amphotericin B
3. Cefoperazone
4. Gentamicin

Correct answer: 3. Cefoperazone

Explanation: CEFOPERAZONE: Like ceftazidime, it differs from other third generation compounds in having stronger activity on Pseudomonas and weaker activity on other organisms. It is good for S. typhi and B. fragilis also, but more susceptible to